On mutation, which of the following may give rise to hereditary glaucoma?
1. Optineurin
2. Ephrins
3. RBA8
4. Huntingtin

Correct answer: 1. Optineurin

Explanation: Ans. is 'a' i.e. optineurin The Journal - "Investigative Ophthalmology Visual Science, 2003 September; 44 (9): 388-4" in the article - "Different optineurin mutation pattern in primary open angle glaucoma" by Leung YF et al writes "The optineurin gene (OPTN) is the second gene besides MYOC in which mutation have been identified to be associated with POA G."The following journals also support the answer:Journal: Science 295, 1077- 1079 (2002)Article: Adult-onset primary open angle glaucoma caused by mutation in optineurin by Rezaic. T et al.Journal: Science 275, 668 - 670 (1997).Article identification of a gene that causes primary open angle glaucoma "by Stone et al.